Owl eye appearance of infected cell is caused by-
1. Variola virus
2. Rabies
3. Polio
4. CMV

Correct answer: 4. CMV

Explanation: Owl eye appearance is caused by Cytomegalovirus (CMV) which Belongs to Betavirinae (HHV5). Inclusion bodies, are nuclear or cytoplasmic aggregates of stable substances, usually proteins. They typically represent sites of viral multiplication in a bacterium or a eukaryotic cell and usually consist of viral capsid proteins. Option 1: Variola virus-Paschen bodies Option 2: Rabies- Negri bodies Option 3: Polio -Cowdry type B inclusions